Which of the following diuretics is contraindicated in the presence of cardiac failure?
1. Mannitol
2. Spironolactone
3. Furosemide
4. Hydrochlorothiazide

Correct answer: 1. Mannitol